Lateral Sacral artery is a branch of
1. Anterior division of Internal Iliac artery
2. Posterior division of Internal Iliac artery
3. External Iliac artery
4. Direct branch from Common Iliac artery

Correct answer: 2. Posterior division of Internal Iliac artery

Explanation: Lateral Sacral artery is a branch of Posterior division of Internal Iliac artery. Other branches of Posterior division of Internal Iliac artery are

Superior gluteal Artery
Iliolumbar artery